Non deliberate cultural practice with anti mosquito effect is
1. Use of mosquito repellents
2. Use of bed nets
3. Use of alkaline detergent for washing clothes
4. Use of larvicides

Correct answer: 3. Use of alkaline detergent for washing clothes

Explanation: Use of alkaline detergent for washing clothes is a non deliberate cultural practice with anti mosquito effect. Mosquito larva cannot survive in alkaline water. MOSQUITO CONTROL Gambusia affinis - larvicidal fish Anti larval - Source reduction (elimination of mosquito breeding grounds), use of larvicides (surface films - mineral oils, stomach poisons - Paris Green, contact poisons), biological agents like fungi, nematodes and fish (eg: larvicidal fish - Gambusia affinis) Anti adult - Insecticides like DDT (organochlorine), Malathion (organophosphate) and pyrethroids for space sprays and residual sprays. Genetically modified adults are also used. Prevention of mosquito bites - Bed nets, mosquito repellents, insect screens for homes. Ref : Park's Textbook of Preventive medicine